Hypersecretory glaucoma is seen in
1. Diabetes
2. Hypertension
3. Epidemic dropsy
4. Marfans syndrome

Correct answer: 3. Epidemic dropsy

Explanation: Epidemic dropsy causes hypersecretory glaucoma Epidemic dropsy results from use of edible oils adulterated with Argemone oil. Hypersecretion glaucoma was described as a distinct clinical entity by Becker et al. The condition usually occurs in middle aged females with neurogenic hypertension and labile personality. It is characterised by intermittent or persistent rises of intraocular pressure in absence of disordered out-flow facility Reference: khurana 6th edition pg 446